First acceptable nomenclature for and classification of hand instruments was given by:
1. G. V. Black
2. Marzouk
3. Sturdevant
4. Both 1 and 2

Correct answer: 1. G. V. Black

Explanation: G.V. Black among his many contributions to modern dentistry, is credited with the first acceptable nomenclature for and classification of hand instruments. His classification system enabled both dentists and manufacturers to communicate more clearly and effectively in regard to instrument design and function.
Ref: Sturdevant's art and science of operative dentistry. 4th edition page 309